By definition, in familial Adenomatous Polyposis (FAP) at least more than___ colonic adenomas must be present.
1. 10
2. 50
3. 100
4. 1000

Correct answer: 3. 100

Explanation: Ans. c (100). (Ref. Harrison's internal medicine 16th ed. 528)FAMILIAL POLYPOSIS COLI (FAP)# It is characterized by appearance of thousands of adenomatous polyps throughout the large bowel.# By definition, in FAP at least more than 100 colonic adenomas must be present.# Colonic polyps are rarely present before puberty but are evident in affected individuals by 25 years of age.# If polyposis coli is not treated surgically, colorectal cancer will develop in almost all patients before age 40.# Once multiple polyps that constitute 'Polyposis' are detected patients should undergo total colectomy.Polyposis syndromsPeutz-Jeghers syndrome# Autosomal dominant; involves entire gastrointestinal tract; melanin pigmentation of the buccal mucosa# Polyps-hamartomas; not premalignantTurcot syndromeColonic polyps associated with brain tumorsFamilial multiple polyposis# Autosomal dominant, appearance of polyps during adolescence - Start in rectosigmoid area and spread to cover entire colon - Virtually ail patients develop cancers; prophylactic total colectomy remommendedGardner syndrome# Colonic polyps associated with desmoid tumors# Risk of colon cancer nearly 100%